Nissl's (substance) bodies are seen in
1. Cell body
2. Axon
3. Dendrites
4. Sheath

Correct answer: 1. Cell body

Explanation: (A) Cell body # Nissl body (or Nissl granule or Tigroid body) is a large granular body found in nerve cells. It was named after Franz Nissl, German neurologist (1860-1919).> Nissl bodies can be demonstrated by selective staining, which was developed by Nissl and was an aniline stain used to label extranuclear RNA granules.> These granules are rough endoplasmic reticulum (with ribosomes) and are the site of protein synthesis.> Nissl bodies show changes under various physiological conditions and in pathological conditions they may dissolve and disappear (karyolysis).